Deep brain stimulation used in treatment of?
1. Depression
2. Parkinsonism
3. Dementia
4. Delirium

Correct answer: 2. Parkinsonism

Explanation: Ans. B.)Parkinsonism Deep brain stimulation It is a neurosurgical procedure involving the implantation of a medical device called a neurostimulator (sometimes referred to as a 'brain pacemaker'), which sends electrical impulses, through implanted electrodes, to specific targets in the brain (brain nuclei) for the treatment of movement and neuropsychiatric disorders. DBS in select brain regions has provided therapeutic benefits for otherwise-treatment-resistant disorders such as Parkinson's disease, essential tremor, dystonia, chronic pain, major depression and obsessive-compulsive disorder (OCD). The Food and Drug Administration (FDA) approved DBS as a treatment for essential tremor and Parkinson's disease in 1997, dystonia in 2003, and OCD in 2009.DBS is also used in research studies to treat chronic pain, PTSD,and has been used to treat various affective disorders, including major depression; none of these applications of DBS have yet been FDA-approved.